Which of the following radiopharmaceutical is used in Imaging of Reticulo endothelial system
1. Tc-99m Red blood cells
2. Tc-99m Pyrophosphate
3. Tc-99m Sulfur Colloid
4. Tc-99m Teboroxime

Correct answer: 3. Tc-99m Sulfur Colloid

Explanation: Tc-99m Sulfur Colloid -Imaging of RES, Gastric emptying, GI bleeds.